Anterior neuropore closes at
1. 16 days
2. 24 days
3. 28 days
4. 8 days

Correct answer: 2. 24 days

Explanation: Clinical neuroanatomy; Vishram Singh; Pg no:7 Anterior/cranial neuropore closes at 24th day of intrauterine life if dont close Anencephaly